All of the following are true about Rifampicin except:
1. It acts by inhibiting RNA polymerase enzyme
2. It cause Flu like symptoms when given daily
3. It is an enzyme inducer
4. It is less efficacious than Rifabutin against MAC

Correct answer: 2. It cause Flu like symptoms when given daily

Explanation: It causes flu like symptoms when given at "intermittent doses", hence monthly dosage given should be observed and monitored.